Dialysis disequalibrium occurs due to -
1. Cerebral edema
2. Hypertension
3. Alumunium toxicity
4. A amyloid deposition

Correct answer: 1. Cerebral edema

Explanation: Ans. is 'a' i.e., Cerebral edema o Two ty pes of neurological disturbance are unique to patients on chronic dialysis.A) Dialysis dementiaQB) Dialysis disequilibriumQDialysis dementia -o It may occur in patients who have heen on dialysis for many years0 and is characterized by dyspraxia, myoclonus, dementia and eventually seizure and death.o The major contribution to this syndrome is Aluminium intoxicationQ.Dialysis disequilibrium -o This occurs during first few weeksQ of dialysis and is associated with rapid reduction in blood urea levels0. It manifests clinically with nausea, vomiting, drowsiness, headache and rarely seizures.o This syndrome has been attributed to cerebral edema & increased intracranial pressureQ due to the rapid (dialysis induced) shift of osmolality and pH between extracellular and intracellular fluids.